Antiglomerular basement antibody is seen in-
1. Membranous glomerulonephritis
2. Goodpasture's syndrome
3. Alport's syndrome
4. Henoch-Schonlein purpura

Correct answer: 2. Goodpasture's syndrome

Explanation: Goodpasture's syndrome is characterized by acute renal failure due to RPGN and pulmonary hemorrhages. The disease results from damage to the glomeruli by anti-GBM antibodies which cross-react with alveolar basement membrane and hence, produce renal as well as pulmonary lesions. The evidence in support is the characteristic linear deposits of anti-GBM antibodies consisting of IgG and complement along the GBM, detection of circulating anti-GBM antibodies and induction of glomerular lesions with an injection of anti-GBM antibodies experimentally in monkeys Ref: Textbook of pathology Harsh Mohan 6th edition page 667